Long head of biceps atttached to:
1. Coracoid process
2. Supraglenoid tubercle
3. Acromion process
4. Bicipital groove

Correct answer: 2. Supraglenoid tubercle

Explanation: Ans: B (Supraglenoid tubercle) Ref: Grays Anatomy 40th EdExplanation:Biceps brachii has two head-long head & short headLong head orginate from supraglenoid tubercleShort head orginate from coracoid processBiceps tendon inserted into the radial tuberosityThe muscle is innervated by musculo cutaneous nerveThe action of the muscles are flexion and supinator